Which are seen in endodermal sinus tumor
1. Schiller-duval bodies
2. Reed-Sternberg cells
3. Reinke's crystals
4. Russell bodies

Correct answer: 1. Schiller-duval bodies

Explanation: Ans. is a i.e. Schiller-duval bodies